Which of the following is medial rotators of thigh:
1. Pyrifomis
2. Quadratus femoris
3. Gluteus maximus
4. Gluteus medius

Correct answer: 4. Gluteus medius

Explanation: Ans. d. Gluteus mediusMuscles of the gluteal regionMuscleActionPyrifomisRotates thigh laterallyQuadratus femorisRotates thigh laterallyObturator internusAbducts and rotates thigh laterallyGluteus mediusAbducts and rotates thigh medially, stabilizes pelvisGluteus maximusExtends and rotates thigh laterallyGluteus minimusAbducts and rotates thigh mediallySuperior gemellusRotates thigh laterallyTensor fasciae lataeFlexes, abducts, and rotates thigh mediallyInterior gemellusRotates thigh laterally